Hypophosphatemia is a caused by
1. Primary hypothyroidism
2. Primary hyperparathyroidism
3. Primary hyperthyroidism
4. Hypoparathyroidism

Correct answer: 2. Primary hyperparathyroidism